Which of the following is transmitted by blood ?
1. Toxoplasma
2. Syphilis
3. CMV
4. All

Correct answer: 4. All

Explanation: Ans. is `a' i.e., Toxoplasma; `b' i.e., Syphilis; 'c' i.e., CMV